Most common cause of death due to burns in early period is?
1. Sepsis
2. Hypovolemic shock
3. Both
4. None

Correct answer: 2. Hypovolemic shock

Explanation: Ans. is 'b' i.e., Hypovolemic shock